Which of the following is best to confirm diagnosis of thalassemia trait in a lady with positive family history of thalassemia?
1. Elevated HbA2
2. Reticulocytosis
3. NESTROFT
4. Peripheral smear

Correct answer: 1. Elevated HbA2

Explanation: To Confirm diagnosis of Thalassemia trait, following can be seen HPLC of Hb Increased HbA2 levels (>3.5%) NESTROFT is useful in screening this disease.